Beta blockers are contraindicated in ?
1. Sick sinus syndrome
2. Angina pectoris
3. Acute aortic dissection
4. Post MI

Correct answer: 1. Sick sinus syndrome

Explanation: Ans. is 'a' i.e., Sick sinus syndrome